Gut tube develops from which germ layer?
1. Endoderm
2. Mesoderm
3. Ectoderm
4. Allantois

Correct answer: 1. Endoderm

Explanation: Ans. is 'a' i.e., Endoderm * The gut is endodermal in origin and is derived from yolk sac.